The Labia minora lacks all except
1. Eccrine glands
2. Hair follicles
3. Apocrine glands
4. Sebaceous glands

Correct answer: 4. Sebaceous glands

Explanation: Labia minora lacks hair follicles, eccrine glands and apocrine glands. But has many sebaceous glands.